WHO sugar control policy includes all except:
1. Regulating marketing of sugar containing drinks
2. Control on labelling of food
3. Fiscal policies
4. On or near chair side council

Correct answer: 4. On or near chair side council